ILD showing obstructive pattern can be seen in?
1. Idiopathic pulmonary fibrosis
2. Non-specific interstitial pneumonitis
3. Pulmonary lymphangioleiomyomatosis
4. Cryptogenic organising pneumonia

Correct answer: 3. Pulmonary lymphangioleiomyomatosis

Explanation: Mostly ILD's have Restrictive pattern except few with obstructive pattern are:- 1) Sarcoidosis 2) Hypersensitivity pneumonitis 3) Pulmonary lymphangioleiomyomatosis